Beta 1 antagonist used in congestive cardiac failure -
1. Atenolol
2. Metoprolol
3. Salbutamol
4. Terbutaline

Correct answer: 2. Metoprolol

Explanation: Ans. is 'b' i.e., Metoprolol b-blockers used in CHF1. Cardioselective b-blockers (b-blockers)o Atenololo Bisoprololo Celiprololo Esmololo Metoprololo Nebivololo Acebutalolo Betoxalol2. Non-selective b-blocker with a-blocking actingo Carvedilolo Dilovalolo Medroxalolo BucindololoLabetalolo Bevantololo Nipradilol o Among all these following three are used most commonly -CarvedilolMetoprololBisoprolol